Which of the following is hardest vital tissue
1. Dentin
2. Enamel
3. Cementum
4. Pulp

Correct answer: 1. Dentin